Billing's method of contraception refers to:
1. Monitoring BBT
2. Cervical mucus method
3. Rhythm method
4. Coitus interruptus method

Correct answer: 2. Cervical mucus method